Ghost teeth is seen in which of the following
1. Dens in dente
2. Regional odontodysplasia
3. Dentin dysplasia
4. None of the above

Correct answer: 2. Regional odontodysplasia